Which of the following is not used as a tumour marker in testicular tumours?
1. AFP
2. LDH
3. HCG
4. CEA

Correct answer: 4. CEA

Explanation: Testicular Tumors often secrete polypeptide hormones and certain enzymes . Biological markers include HCG, AFP, and lactate dehydrogenase, which are valuable in the diagnosis and management of testicular cancer. Elevation of lactate dehydrogenase , provides a tool to assess tumor burden. Marked elevation of serum AFP or HCG levels are produced by yolk sac tumor and choriocarcinoma elements, respectively. CEA ( Carcinoembryonic antigen ) is used as a tumor marker for many cancers like colorectal cancer but not testicular tumors.